All are part of management of acute variceal haemorrhage except
1. Sengstaken-Blakemore tube
2. Octreotide
3. Band ligation
4. Beta blockers

Correct answer: 4. Beta blockers

Explanation: The medical management of acute variceal haemorrhage includes the use of vasoconstricting agents, usually somatostatin or octreotideBalloon tamponade (Sengstaken-Blakemore tube or Minnesota tube) can be used in patients who cannot get endoscopic therapy immediately or who need stabilization prior to endoscopic therapy.Endoscopic intervention is used as first-line treatment to control bleeding acutely. Variceal band ligation is used to control acute bleeding in over 90% of casesWhen bleeding continues from gastric varices, consideration for a transjugular intrahepatic portosystemic shunt (TIPS) should be madeBeta blockade may be of adjunctive benefit in patients who are having recurrent variceal band ligationRef: Harrison 19e pg: 2064